All of the following are true about development EXCEPT?
1. Development is a continuous process
2. Depends on functional maturation of nervous system
3. Certain primitive reflexes have to be lost before relevant milestones attained
4. Limb control precedes trunk and head control

Correct answer: 4. Limb control precedes trunk and head control

Explanation: Development progresses in a cephalocaudal direction; So head control preceds trunk control, which precedes limb control.